Which of the following aminoglycoside is most cochleotoxic:-
1. Amikacin
2. Streptomycin
3. Gentamycin
4. Minocycline

Correct answer: 1. Amikacin

Explanation: Aminoglycosides Nephrotoxicity - Neomycin Ototoxicity - Auditory - Amikacin Vestibular - Streptomycin (affects stability ) NM ( Neuromuscular blockade) - Neomycin Amikacin is effective in tuberculosis but only used for multidrug resistant infection Neomycin Neomycin is Highly toxic to internal ear and kidney Streptomycin Restricted to treatment of tuberculosis Less potent than many other aminoglycosides Streptomycin has the lowest nephrotoxicity among aminoglycosides Minocycline Cause : Highest vestibular dysfunction Phototoxic Dentition and bone problem